All are true about septic arthritis except:
1. Staph. Aureus is most common causative organism
2. Common in children
3. Affect growth plate
4. E. coli is the commonest causative organism

Correct answer: 4. E. coli is the commonest causative organism

Explanation: Ans. d. E. coli is the commonest causative organismIt is more common in children & malesStaphylococcus aureus is the commonest causative organism, other organism are strepto-pneumo & Gonococcus. Aspirate the joint & examine the fluid. A WBC & gram stain should be carried out immediately. Sample of fluid are also sent for full microbiological examination & tests for antibiotic sensitivity.